True regarding split thickness skin graft are all except
1. Doesn't sweat
2. Not adhere to exposed bone
3. Hairless
4. Cosmetically better

Correct answer: 4. Cosmetically better

Explanation: As SSG grafts contract, they are not useful for cosmetic surgeries.